Reactionary hemorrhage in case of tonsillectomy is hemorrhage occurring-
1. Within 6 hours of surgery
2. Within 24 hours of surgery
3. Between 2- 7 days
4. Between 1 -2 weeks

Correct answer: 2. Within 24 hours of surgery

Explanation: Ans. is 'b' i.e., Within 24 hours of surgery Complications of ton_silleetomyo Complications of tonsillectomy may be:-i) Immediateii) DelayedImmediate complications1) Primary hemorrhage: Occurs at the time of operation. It can be controlled by pressure, ligation or electrocoagulation of the bleeding vessels.2) Reactionary hemorrhage: Occurs within a period of 24 hours.3) Injury to tonsillar pillars, uvula, soft palate, tongue or superior constrictor muscle due to bad surgical technique.4) Injury to teeth.5) Aspiration of blood.6) Facial oedema: Some patients get oedema of the face particularly of the eyelids.7) Surgical emphysema